Height of a newborn doubles at
1. 2 months
2. 5 months
3. 1 year
4. 4 years

Correct answer: 4. 4 years

Explanation: Height of a newborn doubles at the age of: 4-4 1/2 years Height increase pattern in children: Age Height increments 1st year 25 cms per year 2nd year 12 cms per year 3rd year 9 cms per year 4th year 7 cms per year 5th year 6 cms per year